A study of risk factors for atherogenesis in adults is performed. Chemical factors are found that are associated with a reduction in serum cholesterol. Which of the following substances is most likely to reduce serum cholesterol?
1. C-reactive protein
2. Homocysteine
3. Lipoprotein(a)
4. Omega-3 fatty acids

Correct answer: 4. Omega-3 fatty acids

Explanation: Think about a diet containing teleost fish, which contain oils that may be associated with lower cholesterol and therefore maybe are protective against atherogenesis. The other listed options are associated with risk for atherosclerosis. C-reactive protein (CRP) is an acute-phase reactant that increases in response to inflammatory cytokines, including those released from cells within atheromatous plaques. Hyperhomocysteinemia is a risk factor independent of lipids for atheroma formation. Lipoprotein(a) is a small LDL-like lipid particle that forms an insudate in arterial walls to drive atherogenesis. Trans fats chemically altered via hydrogenation make lipids last longer on the shelf and taste better, but are bad for you by increasing the ratio of LDL to HDL cholesterol.